Attention Deficit Hyperactivity Disorder (ADHD). True is?
1. Symptoms starting after ten years of age.
2. More frequently seen in boys
3. Symptoms never continue in to adulthood
4. Hypoactivity of child

Correct answer: 2. More frequently seen in boys

Explanation: (B) More frequently seen in boys # Attention deficit hyperactivity disorder (ADHD or AD/HD or ADD) is a neurobehavioral developmental disorder. It is primarily characterized by "the co-existence of attentional problems and hyperactivity, with each behavior occurring infrequently alone"" and symptoms starting before seven years of age.> ADHD is the most commonly studied and diagnosed psychiatric disorder in children, affecting about 3 to 5 percent of children globally and diagnosed in about 2 to 16 percent of school aged children. It is a chronic disorder with 30 to 50 percent of those individuals diagnosed in childhood continuing to have symptoms into adulthood.> Adolescents and adults with ADHD tend to develop coping mechanisms to compensate for some or all of their impairments. It is estimated that 4.7 percent of American adults live with ADHD.> ADHD is diagnosed two to four times more frequently in boys than in girls, though studies suggest this discrepancy may be partially due to subjective bias of referring teachers. ADHD management usually involves some combination of medications, behavior modifications, lifestyle changes, & counseling.